Most important structure preventing uterine proapse is :
1. Round ligament
2. Broad ligaments
3. Cardinal ligament
4. Uterosacral ligament

Correct answer: 3. Cardinal ligament

Explanation: Cardinal ligament